Treatment of malignant glaucoma may include all the following except
1. Pilocarpine
2. Atropine
3. Vitrectomy
4. Laser iridotomy

Correct answer: 1. Pilocarpine

Explanation: Malignant galucoma is a secondary angle closure glaucoma. Management includes: Medical therapy consists of 1 % atropine drops or ointment to dilate ciliary ring and break the cilio-lenticular or cilio-vitreal contact Acetazolamide 250 mg QID and 0.5% timolol maleate eye drops to decrease aqueous production. YAG laser hyaloidotomy can be undertaken in aphakic and pseudophakic patients. Surgical therapy in the form of pars plana vitrectomy with or without lensectomy is required when the above measures fail. The condition is aggravated by miotics and these are thus contraindicated. Hence pilocarpine is not used.